Curve of Monson is
1. An anteroposterior curve
2. Is a lateral molar curve with convexity facing downwards
3. Is a lateral premolar curve with convexity facing upwards
4. A reverse curve

Correct answer: 2. Is a lateral molar curve with convexity facing downwards